Apart from diarrhea, oral rehydration solution has been employed in:
1. Severe vomiting
2. Burn cases
3. Heat stroke
4. Both (2) and (3)

Correct answer: 4. Both (2) and (3)

Explanation: Non-diarrhea uses of ORS include:

Maintenance of hydration in postsurgical, postburn and post-trauma patients.
Heat stroke.
During changeover from total parenteral nutrition to enteral nutrition.